Word substitute used for alginate is:
1. Tooth paint
2. Statue
3. Pudding
4. Cavity fighter

Correct answer: 3. Pudding

Explanation: Euphemisms